All of the following drugs are mainly toxic to the vestibular system except:
1. Streptomycin
2. Gentamicin
3. Kanamycin
4. Minocycline

Correct answer: 3. Kanamycin

Explanation: Vestibulotoxic and cochelotoxic drugsMainly cochleotoxic drugsDihydrostreptomycinKanamycinNeomycinTobramycinAmikacinFurosemideEthacrynic acidBumetanideCisplatinNitrogen mustardSalicylatesQuinine Mainly vestibulotoxic drugsStreptomycinGentamicinMinocyclineKanamycin is cochlea-toxic and most likely to cause unilateral hearing loss. Vestibular system is usually spared.Streptomycin and gentamicin affect vestibular end organs, causing severe damage to sensory epithelium of cristae of all the semicircular canals.Minocycline causes reversible vestibular symptoms like gait disturbance, nausea and vomiting but no nystagmus.